Antifolate cancer drug are -
1. Methotrexate
2. Azathioprine
3. Cycl osporin
4. Vincristine

Correct answer: 1. Methotrexate

Explanation: Ans. is 'a' i.e., Methotrexate o Folate antagonists which are used as anticancer cancer drugs :- (i) Methotrexate; (ii) Premetrexate